100 day Glaucoma seen in which of the following condition:
1. Central retinal vein occlusion (CRVO)
2. Neovascular glaucoma
3. Central retinal artery occlusion (CRAO)
4. Steroid induced Glaucoma

Correct answer: 1. Central retinal vein occlusion (CRVO)

Explanation: 1. 100 days glaucoma is a neovascular glaucoma occurring in CRVO. 2. It consists of occlusion of central retinal vein without significant retinal ischemia. 3. This results in a venous stasis. 4. Recurrent hemorrhages are frequent and neovascularization of retina and optic disc develop. 5. Retina undergoes pigmentary and atrophic changes. 6. Serious complications are cystoid degeneration of macula, optic atrophy and hemorrhagic or neovascular glaucoma. 7. Hemorrhagic glaucoma is also known as 100 day glaucoma because it starts 3 months after the episode of central retinal vein occlusion REF : AK KHURANA 7TH ED